Most characteristic lesion in diabetic nephropathy is
1. Diffuse Glomerulosclerosis
2. Fibrin caps
3. Capsular drops
4. Kimmelsteil Wilson nodules

Correct answer: 4. Kimmelsteil Wilson nodules

Explanation: Most common - Diffuse Glomerulosclerosis.
Most characteristic - Kimmelsteil Wilson nodules.